Necrotizing epitheloid cell granulomas are seen in all, except
1. Tuberculosis
2. Wegener's granulomatosis
3. Cat's Scratch disease
4. Leprosy

Correct answer: 4. Leprosy

Explanation: Ans. (d) Leprosy(Ref: Robbins 9th/pg 97; 8th/pg 73,516)NECROTIC GRANULOMASInfectiveNon infectiveTB, Syphilis, histoplasma, cat scratch diseaseWegners, granulomatosis, necrotising sarcoidosis, bronchocentric granulomasTuberculoid leprosy shows non necrotic granulomas.